Antilipidemic drugs that prevent hypercho- lesterolemia by inhibiting absorption :
1. Ezetimibe
2. Statins
3. Orlistat
4. Cholestyramine

Correct answer: 1. Ezetimibe

Explanation: Ezetimibe inhibits absorption of cholesterol by binding to transporter located in intestinal brush border, so decreases delivery of intestinal cholesterol to liver. Orlistat is antiobesity drug, acts as inhibitor of gastric and pancreatic lipase, interfere with digestion and absorption of dietary TG's. Statins act by inhibiting HMG CoA reductase. Cholestyramine acts as a bile acid sequestrant.